Which of the following can be used as best root end filling material?
1. MTA
2. ZOE
3. Amalgam
4. Calcium hydroxide

Correct answer: 1. MTA

Explanation: Clinical Note 

Amalgam was once the most common root-end filling material, but it is not recommended presently due to corrosion and dimensional changes, unsightly amalgam tattoos, biocompatibility, and safety issues. 
MTA is the recommended root end filling material of choice. 
IRM and SuperEBA are other commonly recommended alternatives.

Reference: Grossman endodontics, 13th ed page no 479